Not an abductor of shoulder ?
1. Deltoid
2. Trapezius
3. Supraspinatus
4. Latissimus dorsi

Correct answer: 4. Latissimus dorsi

Explanation: Latissimus dorsi